Which of the following needs cholesterol and other lipids for growth?
1. Mycobacterium TB
2. Chlamydia
3. Hemophilus
4. Mycoplasma

Correct answer: 4. Mycoplasma